Full dispersion is seen in -
1. Full chocked
2. Half chocked
3. Unchocked
4. All of the above

Correct answer: 3. Unchocked

Explanation: Full dispersion of pellets is seen in shot gun without choke (unchoked).